Objective of surveying diagnostic cast is to
1. Blocking out
2. Determining most favourable path of insertion
3. Placement of internal rest
4. None of the above

Correct answer: 2. Determining most favourable path of insertion

Explanation: To determine the most desirable path of placement that will eliminate or minimize interference to placement and removal.